What will be the appropriate management of a pt with a clean wound over forearm with slight loss of tissue. He has recieved, Tetanus toxoid 12 years back ?
1. Complete course of TT
2. Only one dose of TT
3. Full dose of Human tetanus Ig
4. No T/t needed

Correct answer: 2. Only one dose of TT

Explanation: Ans is 'b' ie only one dose of TT